A 24-year-old male presents with an asymptomatic hyperpigmented patch over the right upper chest 4 years ago, which increased in thickness since then and developed thick hair over the same with time. Diagnosis is:
1. Spitz nevus
2. Hypermelanosis of Ito
3. Becker's nevus
4. Congenital melanocytic nevus

Correct answer: 3. Becker's nevus

Explanation: Ans. c. Becker's nevusBecker's NevusAlso known as Pigmented hairy epidermal nevusType of Nevus: EpidermalMore common in males after pubertyStarts at adolescence as a hyperpigmented macule with irregular bordersWith time, thickens with a corrugated surface and develops thick hair growth over itOccasionally acneiform lesions may also be presentCan be single or multipleSaid to be due to increased androgen receptors over the siteHPE: Epidermal hyperplasia with Increased number of melanosomes and keratinocytesTreated by Q switched Nd: YAG or Er: YAG laserBecker Nevus SyndromeEpidermal nevus with hyperpigmentation and hair growth, along with hamartomatous augmentation of smooth muscle fibers, ipsilateral hypoplasia of mammary glandOther skeletal abnormalities are also present